Metastatic calcification is most often seen in ?
1. Lymphnodes
2. Lungs
3. Spleen
4. Liver

Correct answer: 2. Lungs

Explanation: Ans. is 'b i.e., Lung